The quantity of globin chain synthesis is reduced in
1. HbS
2. Thalassemia
3. HbC
4. HbF

Correct answer: 2. Thalassemia

Explanation: Heme Synthesis. Heme is synthesized in a complex series of steps involving enzymes in the mitochondrion and in the cytosol of the cell (Figure 1). The first step in hemesynthesis takes place in the mitochondrion, with the condensation of succinyl CoA and glycine by ALA synthase to form 5-aminolevulic acid (ALA) Ref Robbins 9/e pg 413